At the international level, which of the following is best type of inquest?
1. Coroner's inquest
2. Police inquest
3. Medical examiner's inquest
4. Magistrates inquest

Correct answer: 3. Medical examiner's inquest

Explanation: Ans. c (Medical examiner's inquest). (Ref. Textbook of FMT by Parikh 6th ed. 1-3)Medical examiner's inquest is supposed to be the best inquest internationally. Q.Ans.1The mostcommontype of inquest in India?Police inquest.2In India, inquest is NOT carried out byDoctor3Coroner's inquest was abolished in India in the year1999.4In case of death in prison, inquest will be conducted byExecutive Magistrate.5Supposed to be the best inquest internationallyMedical examiner's inquest.